a-1 antitrypsin deficiency is associated which of the following?
1. Cirrhosis
2. Neonatal hepatitis
3. Pulmonary emphysema
4. All of the above

Correct answer: 4. All of the above

Explanation: a1-Antitrypsin deficiency Autosomal recessive disorder of protein folding marked by very low levels of circulating a1-Antitrypsin (a1AT). Neonatal hepatitis with cholestatic jaundice appears in 10% to 20% of newborns with the deficiency. In adolescence, presenting symptoms may be related to hepatitis, cirrhosis or pulmonary disease (emphysema).